Hampton's hump is associated with
1. Aspergellosis
2. Bronchial carcinoma
3. Pulmonary tuberculosis
4. Pulmonary thromboembolism

Correct answer: 4. Pulmonary thromboembolism

Explanation: (D) Pulmonary thromboembolism > Hampton's hump, also called Hampton hump, is a radiologic sign seen on chest radiographs indicating pulmonary infarction and atelectasis classically due to pulmonary embolism. It was first described by Aubrey Otis Hampton.> It consists of a pleura based shallow wedge-shaped consolidation in the lung periphery with the base against the pleural surface.> A normal or near-normal chest x-ray in a dyspneic patient suggests PE. Well-established abnormalities include focal oligemia (Westermark's sign), a peripheral wedged-shaped density above the diaphragm (Hampton's hump), or an enlarged right descending pulmonary artery (Palla's sign).